A loop of thin string is thrown around the neck of the victim in
1. Throttling
2. Mugging
3. Bansdola
4. Garrotting

Correct answer: 4. Garrotting

Explanation: In garotting, a loop of things string is thrown around the neck of victim, who is attacked from his back. The ligature is then rapidly tightened with the help of two sticks tied at the free ends of the string so as to constrict the neck strongly. Asphyxiation of the unaware victim ensues rapidly and ultimately death. Ref: TEXTBOOK OF FORENSIC MEDICINE AND TOXICOLOGY KRISHNAN VIJ FIFTH EDITION PAGE 134